Definition of Prolonged pregnancy is
1. Completed 38weeks
2. Completed 40weeks
3. Completed 41weeks
4. Completed 42weeks

Correct answer: 4. Completed 42weeks

Explanation: The international definition of prolonged pregnancy, endorsed by the American College of Obstetricians and Gynecologists (2013a), is 42 completed weeks, 294 days or more from the first day of the last menstrual period.Reference: William's Obstetrics; 24th edition; Chapter 43; Postterm Pregnancy